Which one of the following enzymes is secreted both by exocrine pancreas and by intestinal mucosa?
1. Carboxypeptidase
2. Trehalase
3. Elastase
4. Amylase

Correct answer: 1. Carboxypeptidase

Explanation: Secretions Secreted by 1. Pancreatic enzymes (trysin, chymotypsin, carboxypeptidase) 2. Insulin 3. Bicarbonates & water 4. Enterokinase 5. Sucrase, maltase, isomaltase, lactase 6. Amino peptidase & several dipeptidases 7. Cholecystokinins 8. Mucus (in duodenum) 9. Bile (initial poriton) 10. HCl 11. Ptyalin 12. Lingual lipase 13. Elastase 14. Trehalase 1. Pancreatic acini (exocrine pancreas) 2. Islets of langerhans (endocrine pancreas) 3. Epithelial cells of ducts & ductules leading from acini 4. Intestinal mucosa 5. Contained in enterocytes of mucosa (not secreted in intestinal juice) 6. Enterocytes of duodenum & jejunum 7. I cells of mucosa of duodenum & upper jejunum 8. Brunner's glands 9. Hepatocytes of liver 10. Parietal cells 11. Parotid gland 12. Lingual glands of mouth 13. Pancreas 14. Enterocytes of small intestine.